HRCT is investigation of choice for all EXCEPT:
1. Sarcoidosis
2. Miliary tuberculosis
3. Interstitial fibrosis
4. Pulmonary artery aneurysm

Correct answer: 4. Pulmonary artery aneurysm

Explanation: ANSWER: (D) Pulmonary artery aneurysmREF: Harrison's 18th ed chapter 253-5This question is based upon your basic knowledge of radiology Remember vascular structures are either best evaluated by angiography or magnetic resonance imaging.In high-resolution CT (HRCT), the thickness of individual cross-sectional images is 1-2 mm, rather than the usual 7-10 mm in conventional CT. The visible detail on HRCT scans allows better recognition of subtle parenchymal and airway disease, thickened interlobular septa, ground-glass opacification, small nodules, and the abnormally thickened or dilated airways seen in bronchiectasis. Using HRCT, characteristic patterns are recognized for many interstitial lung diseases such as lymphangitic carcinoma, idiopathic pulmonary fibrosis, sarcoidosis, and eosinophilic granulomaAdditionally, MR is well suited to distinguish vascular from nonvascular structures without the need for contrast. Blood vessels appear as hollow tubular structures because flowing blood does not produce a signal on MR imaging. Therefore, MR can be useful in demonstrating pulmonary emboli, defining aortic lesions such as aneurysms or dissection, or other vascular abnormalities